No touch technique of suturing should be undertaken to reduce risk of
1. Hematoma formation
2. Needle stick injuries
3. Abscess formation
4. None of the above

Correct answer: 2. Needle stick injuries

Explanation: Suturing should be undertaken using a no-touch technique to reduce the risk of a needle-stick injury. Obviously, this is not possible when performing a subcuticular closure using a straight needle, still used by many for this type of closure